How much blood flows to skeletal muscles during exercise?
1. 50 to 75 mL/min of blood per 100 g of muscle
2. 4 to 7 mL/min of blood per 100 g of muscle
3. 20 to 30 mL/min of blood per 100 g of muscle
4. 10 to 20 mL/min of blood per 100 g of muscle

Correct answer: 1. 50 to 75 mL/min of blood per 100 g of muscle

Explanation: Blood flow to tissues is generally proportional to metabolic activity. At rest, approximately 20% of CO is distributed to the skeletal muscle. However, during physical activity, the majority (85%) of the increased CO is diverted to the working muscles. This represents an increase from 4 to 7 to 50 to 75 mL/min of blood per 100 g of muscle. Ref: Fletcher G.F., Flipse T.R., Safford R.E. (2011). Chapter 100. Exercise in Health and Cardiovascular Disease. In V. Fuster, R.A. Walsh, R.A. Harrington (Eds), Hurst's The Heart, 13e.